Right and left crus of diaphragm forms aortic hiatus. Which of the following structures are transmitted through the aortic hiatus?
1. Left gastric vein and thoracic duct
2. Thoracic duct and hemiazygos vein
3. Azygos vein and thoracic duct
4. Left vagus and thoracic duct

Correct answer: 3. Azygos vein and thoracic duct

Explanation: The aortic hiatus is the opening posterior in the diaphragm for the descending aorta. It also transmits the thoracic duct and azygos vein and sometimes the hemiazygos vein.